Musculoskeletal abnormalities in neurofibro- matosis is -
1. Hypertrophy of limb
2. Scoliosis
3. Pseudoarthrosis
4. All

Correct answer: 4. All

Explanation: Musculoskeletal abnormalities in neurofibromatosis

Pseudarthrosis of tibia
Short Stature
Scoliosis
Limb hypertrophy due to multiple neurofibromas
Distinctive osseous lesion: sphenoid dysplasia or cortical thinning of long bones.